Stages of Anaesthesia were established by :
1. Ether
2. Nitrous Oxide
3. Cyclopropane
4. Chloroform

Correct answer: 1. Ether

Explanation: Ans. is 'a' Ether Guedel's staging of Anaesthesia was given for EtherStage of Anaesthesia are as follows*Stage I - Analgesia*Stage II - Delirium or excitement*, partially dilated pupilStage III - Stage of Surgical AnaesthesiaIt is divided in 4 stagesMoving eye to fixed eyeCorneal & laryngeal reflex lostLight reflex lostIntercostal paralysis, Abdominal respiration, Pupils widely dilated*Stage IV - Stage of Medullary Paralysis*